All antiretroviral drugs produce peripheral neuropathy except -
1. Stavudine
2. Zalcitabine
3. Didanosine
4. Indinavir

Correct answer: 4. Indinavir

Explanation: Ans. is 'd' i.e., Indinavir Characteristic side effects of important antiretroviral drugsLamivudin - Nausea, headache, fatigue.Stavudine - Peripheral neuropathy, lipodystrophy, hyperlipidemia, pancreatitis, rapidly progressive ascending neuromuscular weakness.Didanosine - Peripheral neuropathy, pancreatitis, diarrhea, nausea, hyperuricemia.Zalcitabine - Peripheral neuropathy, oral ulceration, pancreatitis.Zidovudin - Macrocytic anemia, neutropenia, nausea, headache, insomnia, asthenia.Tenofovir - Asthenia, headache, diarrhea, nausea, vomiting, flatulance, renal insufficiency.Efavirenz - CNS effects, rash, T liver enzymes.Nevirapine - Rash, hepatitis, nausea, headache.Indinavir - Nephrolithiasis, nausea, indirect hyperbilirubinemia, headache, blurred vision, asthenia.